Flushing with alcohol is seen in all EXCEPT :
1. Amoxicillin
2. Co–trimoxazole
3. Furazolidone
4. Chlorpropamide

Correct answer: 1. Amoxicillin